Drug of choice for neurocysticercosis is:
1. Praziquantel
2. Albendazole
3. Levamisole
4. Piperazine

Correct answer: 2. Albendazole

Explanation: Out of the two anthelmintics effective in killing cysticerci, albendazole is now preferred over praziquantel for the following reasons: * The course of treatment is shorter (8-15 day) compared to praziquantel (15-30 days). * Cure rates in terms of resolution of symptoms and disappearance of cysts are higher (75-85% with albendazole) than praziquantel (50-60%). * Corticosteroids (which have to be given concurrently) enhance the absorption of albendazole, but lower the blood levels of praziquantel. * Albendazole is cheaper. ESSENTIALS OF PHARMACOLOGY page no. 856